The intensity of colour in Doppler is determined by:
1. Direction flow
2. Velocity of flow
3. Strength of returning echo
4. None of the above

Correct answer: 2. Velocity of flow

Explanation: In a Colour Doppler: Colours are used to represent direction of flow towards & away from the transducer; usually blue is towards & red is away from transducer Shades (intensity of colour) represent v elocity of flow; the paler shades representing higher velocity * Power Doppler: Is good for showing areas of flowing blood, particularly when it is moving slowly or in small vessels; but at the expense of losing directional & velocity information.